All are chemical carcinogens except
1. Beta carotene
2. Benzene
3. Thorostat
4. Nitrates

Correct answer: 1. Beta carotene

Explanation: Ans. a (Betacarotene). (Ref. Robbin Pathology, 6th ed., 307)CHEMICAL CARCINOGENSDirect actingProcarcinogensOthersa-propiolactoneBenzopyreneThorostatDimethyl sulfateDibenzanthraceneNitrosamineDiepoxybutane3-methyl cholanthrineVinyl chlorideAnticancerous drugsAromatic aminesNickel1-acetyl imidazoleAmidesChromiumDimethyl carbamyl chlorideAzo dyesInsecticides BenzidineFungicides a-naphthlaminePolychlorinated biphenyls Aflatoxin B1 Griseofulvin Betel nuts Safrole Cycasin